Which form of DNA is predominantly seen in our body?
1. A
2. C
3. B
4. Z

Correct answer: 3. B

Explanation: Ans. C. B-DNA(Ref: Harper 31/e page 340)Physiologically most common is B-DNA.QUnder low salt and high degree of hydration B DNA is usually foundUnder high salt concentration and low degree of hydration A-DNA is usually found.The distance spanned by one turn of B-DNA is 3.4nm (34Adeg)The width of the double helix in B-DNA is 2nm (20Adeg)